Diagnosis of Myasthenia gravis done by using
1. Edrophonium
2. Neostigmine
3. Succinyl choline
4. Atropine

Correct answer: 1. Edrophonium

Explanation: Refer kDT 6/e p 104 Myasthenia gravis can be differentiated from cholinergic crisis with the help of short acting anticholinesterase agent,edrophonium. It improves the symptoms in Myasthenia gravis whereas warts on the condition in case of cholinergic crisis. Neostigmine is used in the treatment of Myasthenia